Which of the following grafts has the best prognosis? (OR) Which of the following graft has high success rate?
1. Xenograft
2. Autograft
3. Allograft
4. Homograft

Correct answer: 2. Autograft